Most B/L multifocal retinoblastoma require
1. Chemotherapy
2. Radiotherapy
3. Enucleation
4. Multi Modality therapy

Correct answer: 4. Multi Modality therapy

Explanation: D i.e. Multi Modality therapy Multi Modality Therapy Most children with bilateral retinoblastoma, multifocal RB, or bothQ, and occasion children with unilateral RB, are managed by multimodality therapy.